Not associated with diabetes mellitus
1. Cushing syndrome
2. Acromegaly
3. Hypothyroidism
4. Pheochromocytoma

Correct answer: 3. Hypothyroidism

Explanation: Ans. is 'c' i.e., Hypothyroidism